Among the following true about linezolid except
1. It inhibits bacterial protein synthesis at an early step
2. It is active against vancomycin resistant enterococci
3. It can be administered orally as well as by i.v. infusion
4. It is the drug of choice for enterococcal endocarditis

Correct answer: 4. It is the drug of choice for enterococcal endocarditis

Explanation: OXAZOLIDINONE Linezolid:- Mech of action:- Linezolid inhibits bacterial protein synthesis by acting at an early step and a site different from that of other AMAs. It binds to the 23S fraction (P site) of the 50S ribosome and interferes with formation of the ternary N-formylmethionine- tRNA (tRNAfMet) -70S initiation complex. Binding of linezolid distorts the tRNA binding site overlapping both 50S and 30S ribosomal subunits and stops protein synthesis before it starts. uses:- Used in treatment of resistant gram-positive coccal (aerobic and anaerobic) and bacillary infections. It is active against MRSA and some VRSA, VRE, penicillin-resistant Strep. pyogenes, Strep. viridans and Strep. pneumoniae, M. tuberculosis, Corynebacterium, Listeria, Clostridia and Bact. fragilis. It is primarily bacteriostatic, but can exert cidal action against some strepto-cocci, pneumococci and B. fragilis. Gram- negative bacteria are not affected. Ref:- kd tripathi; pg num:-758